Estrogen deficiency leads to:
1. Postmenopausal bleeding
2. Decreased risk of cardiovascular diseases
3. Osteoporosis
4. Dysmenorrhea

Correct answer: 3. Osteoporosis

Explanation: Ans. C: Osteoporosis Estrogen is cardioprotective in nature and hence deficiency of estrogen in postmenopausal phase increases the risk of cardiovascular diseases. Osteoporosis: The most important risk factors for osteoporosis are : Advanced age (in both men and women) and female sex; Estrogen deficiency following menopause is correlated with a rapid reduction in bone mineral density, while in men a decrease in testosterone levels has a comparable (but less pronounced) effect